When a horseshoe kidney develops, the ascent of the kidney is restricted by the:
1. Internal iliac artery
2. External iliac artery
3. Common iliac artery
4. Inferior mesenteric artery

Correct answer: 4. Inferior mesenteric artery

Explanation: A horseshoe kidney develops when the inferior poles of the two kidneys fuse together as they ascend into the abdomen from the pelvis. The first anterior midline vessel that is encountered by the horseshoe kidney is the inferior mesenteric artery. This artery prevents the kidney from continuing its ascent.